Characteristic feature of kidneys in diabetes mellitus is -
1. Nodular sclerosis
2. Fibrin cap
3. Papillary necrosis
4. Diffuse glomerulosclerosis '

Correct answer: 1. Nodular sclerosis

Explanation: Nodular sclerosis